Which of the following nerve innervates rhomboids minor muscle?
1. Medial pectoral nerve
2. Long thoracic nerve
3. Dorsal scapular nerve
4. Nerve to the subclavius

Correct answer: 3. Dorsal scapular nerve

Explanation: Dorsal scapular nerve innervates the rhomboids minor muscle which is involved in retraction of the scapula. Medial pectoral nerve innervates pectoralis minor which is involved in protraction, depression, and stabilization of scapula.Long thoracic nerve innervates serratus anterior which is involved in protraction and rotation of the scapula.Nerve to the subclavius innervates subclavius muscle which is involved in depression and stabilization of clavicle.Dorsal scapular nerve and ventral rami of C3 and C4 innervates levator scapulae muscle involved in elevation and downward rotation of scapula.